Refsum's syndrome is associated with -
1. Retinitis pigmentosa
2. Xerophthalmia
3. Chalcosis
4. Diabetes retinopathy

Correct answer: 1. Retinitis pigmentosa

Explanation: Ans. is 'a1 i.e., Retinitis pigmentosa Associations of retinitis pigmentosa1. Ocular associations : These include myopia, primary open angle glaucoma, microphthalmos, conical cornea and posterior subcapsular cataract.2. Systemic associations : These are in the form of following syndromesLaurence-Moon-Biedl syndrome : It is characterised by retinitis pigmentosa, obesity, hypogenitalism, polydactyly and mental deficiency.Cockayne's syndrome : It comprises retinitis pigmentosa, progressive infantile deafness, dwarfism, intellectual disability, nystagmus and ataxia.Refsum's syndrome : it is characterized by retinitis pigmentosa, peripheral neuropathy and cerebellar ataxia.Usherfs syndrome : It includes retinitis pigmentosa and labyrinthine deafness.Hallgren's syndrome : It comprises retinitis pigmentosa, vestibulo-cerebellar ataxia, congenital deafness and mental deficiency.